Most common primary for brain metastasis is which of the following?
1. Lung cancer
2. Head and neck cancer
3. Prostate cancer
4. Breast cancer

Correct answer: 1. Lung cancer

Explanation: Most common Primary for brain metastasis is - LUNG CANCER Particular Lung cancer which is notorious for causing CNS metastasis - SMALL CELL LUNG CARCINOMA Most common Primary malignant CNS tumor seen in children - MEDULLOBLASTOMA Most common Primary malignant CNS tumor seen in adults - GLIOBLASTOMA Most common Primary benign CNS tumor seen in adults - MENINGIOMA